Choanal atresia is associated with which syndrome:
1. VACTERL
2. CHARGE
3. APECED
4. LEOPARD

Correct answer: 2. CHARGE

Explanation: Most cases of choanal atresia are sporadic, although familial cases suggest autosomal dominant or autosomal recessive modes of a single gene defect. Approximately one-half to two-thirds of patients with choanal atresia have associated malformations, which occur more frequently with bilateral atresia. The most common of these is the CHARGE association: Coloboma of the eye Heart malformations Choanal Atresia Retarded growth, development, or both Genital hypoplasia Ear malformations, deafness, or both